On electron microscopy amyloid characteristically exhibits
1. Beta-pleated sheet
2. Hyaline globules
3. 7.5-10 nm fibrils
4. 20-25 nm fibrils

Correct answer: 3. 7.5-10 nm fibrils

Explanation: Physical nature of Amyloid Electron microscopy Non-branching fibrils of indefinite length ~7.5 to10 nm in diameter X-ray crystallography & IR spectroscopy Cross -b-pleated sheet conformation H&E Amorphous, eosinophilic, extracellular substance